Which HIV-virus is more dangerous:
1. HIV-1
2. HIV-2
3. Both are same
4. It depends on host factors

Correct answer: 1. HIV-1

Explanation: Ans. a. HIV-1